Brown's sign is 'blanching of redness' seen in which of the following conditions:
1. Glomus tumor
2. Meniere's disease
3. Acoustic neuroma
4. Otosclerosis

Correct answer: 1. Glomus tumor

Explanation: Brown's sign is blanching of redness on increasing pressure (more than systemic blood pressure), seen in glomus jugulare. On application of pressure to the external ear canal with the help of a pneumatic ear speculum the mass could be seen to blanch. This sign is known as "Brown's sign". Glomus tympanicum and Glomus jugulare: Both commonly present as a middle ear mass resulting in tinnitus (in 80%) and hearing loss (in 60%). The cranial nerves of the jugular foramen may be compressed, resulting swallowing difficulty, or ipsilateral weakness of the upper trapezius and sternocleiodomastoid muscles (from compression of the spinal accessory nerve). These patients present with a reddish bulge behind an intact ear drum. This condition is also known as the "Red drum". On application of pressure to the external ear canal with the help of a pneumatic ear speculum the mass could be seen to blanch. This sign is known as "Brown's sign".